Tumor infiltrating into the foramen ovate will cause all EXCEPT:
1. Anesthesia of TMJ
2. Paralysis of tensor tympani
3. Paraesthesia of lips
4. Paralysis of stylohyoid

Correct answer: 4. Paralysis of stylohyoid